Mouth breathing with enlarged adenoids and tonsils may
be best described as:
1. Anatomic
2. Obstructive
3. Physiologic
4. Habitual

Correct answer: 2. Obstructive